In WHO recommended Death Certificate, Main Underlying Cause of Death is recorded on
1. Line Ia
2. Line Ib
3. Line Ic
4. Line II

Correct answer: 3. Line Ic

Explanation: WHO RECOMMENDED DEATH CERTIFICATE (for International use):
Consist of 4 lines:
– Line Ia: Disease or condition directly leading to death
– Line Ib: Antecedent/ underlying cause
– Line Ic: MAIN ANTECEDENT/ UNDERLYING CAUSE
– Line II: Other significant conditions contributing to death BUT not related to disease/ condition causing it
Concept of underlying cause, Line Ic is the MOST IMPORTANT line in death certificate, thus also known as ‘Essence of Death Certificate’